Distal end of humerus develops from how many centres
1. 2
2. 5
3. 3
4. 4

Correct answer: 4. 4

Explanation: OSSIFICATION OF HUMERUS: The humerus ossifies from one primary centre and seven secondary centres. The primary centres appears in the middle of diaphysis during the 8th week of development. The upper end ossifies from 3 secondary centres -one for head{first year}, one for greater tubercle {second year}, one for lesser tubercle {fifth year}. The three centres fuse together during 6th year to form one compound epiphysis, which fuses with the shaft during the 20th year. The epiphyseal line encircles the bone at the level of lowest margin of the head. This is the growing end of the bone . The lower end ossifies from 4 centres which form 2 epiphysis. The centre include one for capitulum and the lateral flange of the trochlea{first year}, one for medial flange of the trochlea{9th year}, one for lateral epicondyle {12th year}. All three fuse during the 14th year to form another compound epiphysis, the centre for medial epicondyle appears during 4-6 years, forms a separate epiphysis and fuses with the shaft during the 20th year. REF: BD Chaurasia 8th edition page no:16.